ingredient of marking nut is:
1. Semecarpol
2. Croton
3. Abrin
4. Ricin

Correct answer: 1. Semecarpol

Explanation: Ans. Semecarpol